Fetal cardiac activity can be detected earliest by USG at which age of Intrauterine life-
1. 1-2 week
2. 2-4 week
3. 5-6 week
4. 6-8 week

Correct answer: 3. 5-6 week

Explanation: Fetal cardiac activity can be detected earliest by USG at 5-6-week age of intrauterine life.